Modified RND includes which of the following ?
1. I - IV
2. I - VII
3. I - III
4. I - V

Correct answer: 4. I - V

Explanation: Lymph nodes I - V are removied in MNRD.